In case of blunt injury abdomen, the incision for emergency laparotomy should be
1. Paramedian incision
2. Midline incision
3. Transverse upper abdominalincision
4. Subcostal incision

Correct answer: 2. Midline incision

Explanation: Upper midline incision extending down across the left of the umbilicus is the preferred incision. But surgeon should not be hesitant to extend the incision into the thorax or do horizontal T or extend as needed depending on the internal organ injury. Reference : SRB's Manual of Surgery, 6th Edition, page no = 142.